Ethacrynic acid is not used due to ?
1. Renal toxicity
2. Ototoxicity
3. GI toxicity
4. Pulmonary toxicity

Correct answer: 2. Ototoxicity

Explanation: Ans. is 'b' i.e., Ototoxicity Ethacrynic acid is most ototoxic loop diuretic.